Purely glucogenic amino acid -
1. Isoleucine
2. Tyrosine
3. Lysine
4. Proline

Correct answer: 4. Proline

Explanation: Ans. is 'd' i.e., Proline GlucogenicKetogenicBoth glucogenic & ketogenico Alanineo Arginineo Aspargineo Aspartic acido Cysteineo Glutamineo Glutamic acido Glycineo Histidineo Methionineo Prolineo Serineo Threonineo Valineo Leucineo Lysineo Isoleucineo Phenylalaineo Tyrosino TryptophanNote : According to Harper 29th /e (P-282), lysine is both ketogenic and glucogenic. But all other textbooks have mentioned it as ketogenic.